Enucleation of the eyeball is contraindicated in -
1. Endophthalmitis
2. Panophthalmitis
3. Intraocular tumours
4. Painful blind eye

Correct answer: 2. Panophthalmitis

Explanation: Enucleation of eye ball is contraindicated in panophthalmitis, because if optic nerve sheath is touched, the infection may spread intracranially.